True statement about vitamin K is?
1. Vitamin K is water soluble
2. Vitamin K is needed for action of clotting factor 8
3. Vitamin K deficiency leads to DVT
4. Vitamin K affects bone health by activating proteins that bind calcium

Correct answer: 4. Vitamin K affects bone health by activating proteins that bind calcium

Explanation: Fat Soluble vitamins are Vitamin A, D, E, and K Vitamin K is the only fat-soluble vitamin with a specific coenzyme function Absorption, transport and storage Taken in the diet or synthesized by the intestinal bacteria Absorption takes place along with fat (chylomicrons) and is dependent on bile salts. Transported along with LDL Stored mainly in liver Biochemical functions It brings about the post- translational modification of certain blood clotting factors The clotting factors ll (prothrombin), VIl, lX and X Vitamin K acts as a coenzyme for the carboxylation of glutamic acid residues present in the proteins and this reaction is catalyzed by a carboxylase (microsomal). Vitamin K is also required for the activation of Nephrocalcin and osteocalcin, calcium binding proteins. Deficiency Individual bleeds profusely even for minor injuries. The blood clotting time is increased. Hypervitaminosis K Cause hemolytic anemia and jaundice, particularly in infants Antagonists of vitamin K Heparin Bishydroxycoumarin Salicylates Dicumarol